The first-line drug therapy in chronic myeloid leukemia is -
1. Hydroxycarbamide
2. Alpha-interferon
3. Busulphan
4. Imatinib

Correct answer: 4. Imatinib